Which of the following syndromes in relation to obesity are associated with hypogonadism in males but not in the females?
1. Prader Willi syndrome
2. Laurence Moon Biedl syndrome
3. AHLSTROM'S syndrome
4. COHEN'S syndrome

Correct answer: 3. AHLSTROM'S syndrome

Explanation: AHLSTROM'S SYNDROME is autosomal recessive disorder associated with obesity, hypogonadism in males but not in females . Ref Harrison 20th edi page no 2842, tab 394-2